All structures pass through aortic opening Diaphragm except-
1. Aorta
2. Sympathetic trunk
3. Thoracic Duct
4. Azygos vein

Correct answer: 2. Sympathetic trunk

Explanation: Ans. B. Sympathetic trunkThere are a number of openings in the diaphragm through which structures pass between the thorax and abdomen.There are three large openings--the aortic, the esophageal, and the caval opening--plus a series of smaller ones.The aorta does not pierce the diaphragm but rather passes behind it in between the left and right crus. Structures passing through aortic opening are aorta, Thoracic Duct & Azygos vein.